Which of the following statements about a basal cell
carcinoma of the skin is TRUE?
1. It is also called a marjolin's ulcer
2. It metastases to the regional lymph nodes
3. It is radiosensitive
4. None of the above statements is true

Correct answer: 3. It is radiosensitive